Common precursor of mineralocorticoid, glucocorticoids and sex steroids ?
1. Pregnenolone
2. a-hydroxyprogesterone
3. Dehydrotestosterone
4. Deoxycortisol

Correct answer: 1. Pregnenolone

Explanation: Ans. is 'a' i.e., Pregnenolone